In the etiology of endometriosis Sampson's theory is :
1. Implantation theory
2. Coelomic metaplasia theory
3. Metastatic theory
4. Histogenesis by induction

Correct answer: 1. Implantation theory

Explanation: Implantation theory